Which of the following is not seen with corpus cancer syndrome in cancer endometrium?
1. Multiparity
2. Diabetes mellitus
3. Hypertension
4. Obesity

Correct answer: 1. Multiparity

Explanation: Combination of diabetes, obesity and hypertension in association with endometrial carcinoma is called as the Corpus Cancer Syndrome.